Hoarseness with stridor is seen in
1. Unilateral abductor palsy
2. Bilateral abductor palsy
3. Both
4. None

Correct answer: 4. None

Explanation: In Unilateral abductor palsy voice is normal or some may have some problems, but usually asymptomatic In Bilateral abductor palsy as both the cords lie in a median or paramedian position, the airway is inadequate causing dyspnoea and stridor but the voice is good. Dyspnoea and stridor become worse on exertion or during an attack of acute laryngitis. Ref: PL Dhingra Textbook of Ear, Nose and Throat, Edition 7, page - 337,338